Unmet needs of contraception to met according to NFH S-3
1. Women < 20 years
2. Women after puperium
3. Women after 1' week delivery
4. After illegal abortion

Correct answer: 1. Women < 20 years

Explanation: Ans. is 'a' i.e., Women < 20 years Many women who are sexually active would prefer to avoid pregnancy, but nevertheless are not using any method of contraception. These women are considered to have 'unmet need' for family planning. The concept is usually applied to married women. According to the National Family Health Survey-3, Unmet need for family planning is highest (27.1%) among women below 20 years age and is almost entirely for spacing the births rather than for limiting the births. It is also relatively high for women in age group 20-24 years (21.1%) with 75% need for spacing and 25% for limiting the birth. Unmet need for contraception among women aged 30 years and above are mostly for limiting birth. Age group Unmet need of contraception for < 20 years For spacing the birth 20-24 years For spacing (75%) and for limiting birth (25%) 30 years For limiting birth